Most common infection in a child nephrotic syndrome-
1. Spontaneous bacterial peritonitis
2. Pneumonia
3. UTI
4. Cellulitis

Correct answer: 1. Spontaneous bacterial peritonitis

Explanation: Ans. is 'a' i.e., Spontaneous bacterial peritonitis